Fox Fordyce's disease is a disease of –
1. Eccrine glands
2. Apocrine glands
3. Sebaceous glands
4. Pilosebaceous glands

Correct answer: 2. Apocrine glands

Explanation: Diseases of Sweat glands

Eccrine glands         →         Hyperhydrosis, Anhydrosis, Miliaria.
Apocrine glands       →         Chromhidrosis (coloured sweat), Osmidrosis (offensive sweat odour), Bromhidrosis (hyperhidrosis + offensive odour), Fox - Fordyce's disease (apocrine miliaria), hidradenitis suppurativa.